All are true about ulnar nerve except:
1. Root value C8TI
2. Pass through cubital tunnel
3. Supply flexor digitorum superficialis
4. Supply flexor carpi ulnaris

Correct answer: 3. Supply flexor digitorum superficialis

Explanation: Ans. c. Supply flexor digitorum superficialis Nerve course:Root value of ulnar nerve is C7, C8 6 T1.Ulnar nerve (C8, T1) arises from the medial cord of the brachial plexus & descends in the interval b/w the axillary artery & veinAt elbow, ulnar nerve passes behind the medial epicondyleThe cubital tunnel is a channel which allows the ulnar nerve to travel over the elbowVarious branches of ulnar nerve are :?In arm : No branch.In forearm : There are following branches :?Muscular : In proximal part of forearm it supplies flexor carpi ulnaris and medial half of flexor digitorumprofundus.Cutaneous : There are two cutaneous branches in forearm:-Superficial terminal branch : It supplies palmaris brevis and skin of palmar surface of medial 11/2 fingers.Palmar cutaneous branch : Supplies skin over the hypothenar eminence.Dorsal (posterior) cutaneous branch : Supplies skin over medial 1/3 of dorsum of hand and dorsal surface of medial 11/2 fingers.In hand : Ulnar nerve enters the palm by passing superficial to flexor retinaculum and divides into two terminal branches :?Deep terminal branch : It supplies adductor pollicis, all interossei, medial two (3rd& 4th)lumbricals and all hypothenar muscles except palmaris brevis (i.e. abductor digitiminimi, flexor digitiminimi, opponensdigitiminimi).